Infective gangrene of the subcutaneous tissue which often occurs in the nape of the neck
1. Boil
2. Furuncle
3. Carbuncle
4. Impetigo

Correct answer: 3. Carbuncle